A 42-year-old female is admitted to the hospital after a traumatic landing while skydiving. Radiographic examination reveals a ruptured spleen. An emergency splenectomy is performed. Which of the following peritoneal structures must be carefully manipulated to prevent intraperitoneal bleeding?
1. Coronary ligament
2. Gastrocolic ligament
3. Splenorenal ligament
4. Phrenocolic ligament

Correct answer: 3. Splenorenal ligament

Explanation: The splenorenal ligament is the attachment of the spleen to the left kidney and is the only ligament that contains the major branches of the splenic artery to the spleen and greater curvature of the stomach. The coronary ligament is the peritoneal reflection from the diaphragmatic surface of the liver onto the diaphragm that encloses the bare area of liver; it is not attached to the spleen. The falciform ligament is a peritoneal fold in contact with only the diaphragm and the liver. The gastrocolic ligament contains branches of the gastroomental vessels but should not be a factor in the splenectomy.